Diethylstilbesterol causes the following defects expect
1. Renal anomalies
2. Incompetent cervix
3. T saped uterus
4. Vaginal adenosis

Correct answer: 1. Renal anomalies

Explanation: Diethylstilbesterol defects Neural tube defects Vaginal and cervical adenosis Clearcell adenocarcinoma Uterine anomalies Cryptorchidism Testicular hypoplasia TEXTBOOK OF OBSTETRICS,SHEILA BALAKRISHNAN,PG NO:565,2nd edition